What is present day application of oxygen concentrators include:-
1. Domicillary use
2. Supplying ambulance
3. Supplying anesthesia medicine
4. All of the above

Correct answer: 4. All of the above

Explanation: Oxygen concentrators are widely used to provide oxygen-enriched gas for multiple use: i. Domicillary use ii. Remote locations iii. For oxygen pipeline supply iv. Anesthesia machine